Regarding adenoids all of the following are true except
1. Failure to thrive
2. High-arched palate
3. Mouth breathing
4. Immediate surgery even for minor symptoms

Correct answer: 4. Immediate surgery even for minor symptoms

Explanation: ADENOIDS GENERAL SYMPTOMS :- (a) Adenoid facies:- Chronic nasal obstruction and mouth breathing lead to characteristic facial appearance called adenoid facies. The child has an elongated face with dull expression, open mouth, prominent and crowded upper teeth and hitched up upper lip. Nose gives a pinched in appearance due to disuse atrophy of alaenasi. Hard palate in these cases is highly arched as the moulding action of the tongue on palate is lost. (b) Pulmonary hypertension:- Long-standing nasal obstruction due to adenoid hypertrophy can cause pulmonary hypertension and cor pulmonale. (c) Aprosexia:- i.e. lack of concentration. Ref:- Dhingra; pg num:-243,244